Crocodile tears is due to:
1. Cross innervation of facial nerve fibers
2. Cross innervation of trigeminal nerve fibers
3. Improper regeneration of trigeminal nerve
4. Improper regeneration of facial nerve

Correct answer: 4. Improper regeneration of facial nerve

Explanation: Crocodile tears (gustatory lacrimation) There is unilateral lacrimation with masticationIt is due to faulty regeneration of parasympathetic fibres which normally travel through chorda tympani but are misdirected towards greater superficial petrosal nerve and instead of going to salivary glands reach the lacrimal glands. This results in unilateral lacrimation with masticationTreatment - Sectioning the greater superficial petrosal nerve or tympanic neurectomyFrey's syndrome (gustatory sweating) -There is sweating and flushing of skin over the parotid area during mastication.